Osteoporosis is characterized by -
1. Increased serum alkaline phosphatase
2. Decreased bone density
3. Wasting of muscles
4. Looser's zone seen

Correct answer: 2. Decreased bone density

Explanation: Osteoporosis is characterized by an abnormally low bone mass (low bone density) and defects in bone structure, a combination of which renders the bone unusually fragile and at greater than normal risk of fracture.